Lipid peroxidation in cells exposed to ionizing radiation is initiated by
1. Catalase
2. Superoxide
3. Hydroxyl Radical
4. Glutathione

Correct answer: 3. Hydroxyl Radical

Explanation: Radiolysis of water leads to formation of hydroxyl radicals that initiate lipid peroxidation of membrane phospholipids.